A patient comes with deep severe burns. What will be the preferred route of analgesia:
1. Intravenous
2. Topically
3. Subcutaneously
4. Intramuscular

Correct answer: 1. Intravenous

Explanation: Ans. A i.e. Intravenous Pain is best controlled with the use of intravenous rather than intramuscular narcotics.